Which of the interleukins is responsible for endogenous pyrexia in a young lady admitted on the medical ward?
1. IL1
2. IL6
3. INF gamma
4. IFN alpha

Correct answer: 1. IL1

Explanation: IL1 also konwn as endogenous pyrogen causes fever by inducing the production of prostaglandin E2 which acts on the hypothalamus and induce a fever like reaction. IL 1 is produced by macrophages.